All of the following are the causes for hypercalcemia Except?
1. Hypervitaminosis of Vitamin D
2. Thiazides
3. Hyperparathyroidism
4. Acute pancreatitis

Correct answer: 4. Acute pancreatitis

Explanation: Causes of hypercalcemia: Hyperthyroidism Vitamin A intoxication Vitamin D intoxication Thiazides Immobilization